Metabolic disturbance seen with pyloric stenosis:
1. Hypokalemic hyponatremic alkalosis
2. Hyperkalemia
3. Hyperchloremic acidosis
4. Hypernatremia

Correct answer: 1. Hypokalemic hyponatremic alkalosis

Explanation: Ans. A: Hypokalemic hyponatremic alkalosis